Which of the following is not a hepatotoxic drug ?
1. Ethambutol
2. Rifampicin
3. INH
4. Pyrazinamide

Correct answer: 1. Ethambutol

Explanation: Ans. is 'a' i.e., Ethambutol